Blue color of contusion seen at
1. First day
2. 2-3 days
3. 4-5 days
4. 5-6 days

Correct answer: 2. 2-3 days

Explanation: The age of contusion Time since injury color change first day red(Hb) 2-3 days blue(deoxyHb) 4-5 days bluish black/brown(hemosiderin) 5-6 days greenish(hematoidin) 7-10days yellow(bilirubin) By 14 days normal ref: FORENSIC MEDICINE AND TOXICOLOGY Dr PC IGNATIUS THIRD EDITION PAGE NO 118